Muller's manoeuvre is used to
1. To find out opening of mouth
2. To remove laryngeal foreign body
3. To find degree of obstruction in sleep disordered breathing
4. To remove foreign body from ear

Correct answer: 3. To find degree of obstruction in sleep disordered breathing

Explanation: Muller's manoeuvre is used to find level and degree of obstruction in sleep-disordered breathing with flexible nasopharyngoscope Ref: Textbook of ENT, Dhingra; 6th edition; Pg no: 449 ref img